Which of the following is not done in a case of brain tumour?
1. CT scan
2. MRI
3. X-ray skull
4. Lumbar puncture

Correct answer: 4. Lumbar puncture

Explanation: Ans. Lumbar puncture